Salivary amylase is inactivated by
1. Enteropeptidase
2. Low pH of stomach
3. High pH of intestine
4. None

Correct answer: 2. Low pH of stomach

Explanation: Salivary amylase is secreted by the salivary glands.The oral pH is about 7.0 and it is the optimum pH for the action of salivary amylase.The pH of stomach is about 1.2 and this inhibit the action of salivary amylase.(Ref: Ganong's Review of medical physiology)